Which one of the following cooking oils contains highest percentage of linoleic acid ?-
1. Safflower oil
2. Sunflower oil
3. Corn oil
4. Groundnut oil

Correct answer: 1. Safflower oil

Explanation: Ans. is 'a' i.e., Safflower oil